Oral vancomycin may be given in:
1. Plague
2. Prostatitis
3. Tularemia
4. Pseudomembranous colitis

Correct answer: 4. Pseudomembranous colitis

Explanation: Ans: D i.e. Pseudomembranous colitis Drugs and uses Tetracyclines are highly effective in both bubonic and pneumonic plague Cotrimoxazole is especially valuable in prostatitis, because trimethoprim is concentrated in prostate Streptomycin is the drug of choice for tularaemia Given orally, vancomycin is the second choice drug (to metronidazole) for antibiotic associated pseudomembranous enterocolitis (caused by Cl. Difficile)